Threshold of hearing in a young normal adult is ?
1. 0 dB
2. 10 dB
3. 20 dB
4. 30 dB

Correct answer: 1. 0 dB

Explanation: Ans. is'a'i.e.,0 dBAudiometric zeroThreshold of hearing, i.e. The faintest intensity which a normal healthy person can hear will vary from person to person.The International Standards Organisation (ISO) adopted a standard for this, which is represented as the zero level on the audiometer (0 dB).According to ISO, audiometric zero is the mean value of minimal audible intensity in a group of normally hearing healthy young adults.